Pendred's syndrome is due to a defect in -
1. Chromosome 7p
2. Chromosome 7q
3. Chromosome 8p
4. Chromosome 8q

Correct answer: 2. Chromosome 7q